Venous thrombosis In patients with paroxysmal nocturnal hemoglobinuria is observed in
1. Cerebral veins
2. Leg veins
3. Intrabdominal veins
4. Axillary vein

Correct answer: 3. Intrabdominal veins

Explanation: Answer- C. Intrabdominal veinsVenous thrombosis is an inconstant but severe clinical manifestation of P.N.H.Thrombosis occcurs due to absence of CD59 which k a membrane attached proteinThrombosis usually occurs in abdominal veins. Intra-abdominal yeins are the most common site of thromosis in P.N.H.